In Esophageal speech, the dynamic component is-
1. Buccal segment
2. Pharyngo- esophageal segment
3. Trachea
4. Pharynx

Correct answer: 2. Pharyngo- esophageal segment